The region of a nephron where P cells (principal cells) are located is:
1. PCT
2. Loop of Henle
3. DCT
4. Collecting duct

Correct answer: 4. Collecting duct

Explanation: Collecting ducts have 2 cell populations: P cell / principle cell: Reabsorb Na+Secrete K+ Intercalated cell: Absorb K+Secrete H+, HCO3- it is the buffering cell in the kidney.